First purine nucleotide, which is synthesized in purine biosynthesis ?
1. AMP
2. GMP
3. IMP
4. UMP

Correct answer: 3. IMP

Explanation: The biosynthesis of purine begins with ribose-5-phosphate, derived from pentose phosphate pathway (PPP). First intermediate formed in this pathway, 5-phosphoribosyl-pyrophosphate (PRPP), is also an intermediate in purine salvage pathway. REF: Lippincott book of biochemistry 6th ed.